All are true about puerperal sepsis except:
1. Temperature > 380C (100.4oF)
2. Caesarean section has no increased risk for sepsis
3. Group A beta-hemolytic streptococcus is one of common causative organism
4. Instrument delivery increases risk

Correct answer: 2. Caesarean section has no increased risk for sepsis

Explanation: Ans.(b) Caesarean section has no increased risk for sepsis Puerperal pyrexia -- is defined as a rise of temperature reaching 100.4deg F (38deg C) or more (measured orally) on 2 separate occasions at 24 hours apart (excluding first 24 hours) within first 10 days following delivery.Any infection of genital tract which occurs as a complication of delivery is called as Puerperal sepsis.Most common site of Puerperal infection -- Placental site.Most common manifestation of Puerperal infection -- Endometritis.Most common cause of Puerperal sepsis -- Streptococcus.Most common route of infection -- Direct spread.Caesarean section is easily the most common identifiable risk factor for development of puerperal infection.